The ketone bodies produced by the liver are all except:
1. β-hydroxybutyrate
2. Acetoacetate
3. Acetone
4. Glycerol 3-phosphate

Correct answer: 4. Glycerol 3-phosphate

Explanation: Under metabolic conditions associated with a high rate of fatty acid oxidation, the liver produces considerable quantities of acetoacetate and  d(-)-3-hydroxybutyrate (β-hydroxybutyrate). Acetoacetate continually undergoes spontaneous decarboxylation to yield acetone. These three  substances are collectively known as the ketone bodies (also called acetone bodies or    “ketones”).
HARPERS ILLUSTRATED BIOCHEMISTRY30th ed Page no 226